About Paraphimosis true is :
1. Catheter induced
2. Circumcision is treatment
3. Hyaluronidase inj
4. All of the above

Correct answer: 4. All of the above

Explanation: Paraphimosis may be produced when during catheterization the prepuce is forcibly retracted over gland penis.